All of the following drugs are primarily bacteriostatic except
1. Sulphonamide
2. Chloramphenicol
3. Ethambutol
4. Rifampicin

Correct answer: 4. Rifampicin